In an Rh negative mother who has delivered an Rh positive baby, prophylactic anti D is indicated:
1. If the Indirect Coomb's test (ICT) negative
2. If the ICT is positive
3. If the ICT is positive with rising titres
4. As a routine procedure

Correct answer: 1. If the Indirect Coomb's test (ICT) negative

Explanation: If the Indirect Coomb's test (ICT) negative